Treatment for mitochondrial disorder is?
1. Ascorbic acid
2. Folic acid
3. Coenzyme Q-10
4. All of the above

Correct answer: 4. All of the above

Explanation: Ans. is 'd' i.e., All of the above * "Mito Cocktail" is the name given to a variety of vitamins and supplements which are commonly used by adults and children who have been diagnosed with mitochondrial disease. It includes :1. Coenzyme Q-10 (Coenzyme Q10, CoQlO, CoQ-10, CoQ, ubiquinone)2. L-Carnitine3. B-Vitamins -Thiamine (Bl), Riboflavin (B2), B3, B6, B12 and folic acid (B9)4. Antioxidants - Vitamin C (ascorbic acid) and Vitamin E (tocopherol)